At  what age upper segment  :  lower segment ratio becomes 1 : 1 ?
1. 3  -  6 years
2. 5  -  8 years
3. 7 - 10 years
4. 10 - 12 years

Correct answer: 3. 7 - 10 years

Explanation: Age
US : LS Ratio




Birth
1.7 : 1


3 years
1.3 : 1


7 - 10 years
1 : 1


> 10 years
0.3 : 1